Diet devoid of carbohydrates causes:
1. Ketosis
2. DM
3. No effect
4. Obesity

Correct answer: 1. Ketosis

Explanation: A i.e. KetosisThree conditions lead to deficient intracellular glucose supplies & hence to ketoacidosis: Starvation, DM (Diabetes Mellitus) and high fat low carbohydrate dietQ.Low carbohydrate diet Cause defective intracellular glucose supply, and most of the calories are supplied by fat.When there is high rate of fatty acid oxidation the ketone bodies are formed in hepatic mitochondria to provide calories (ATP) & they accumulate in blood (ketosis)Q.- Ketone bodies are important fuel in extrahepatic tissue.* Small amount of glucose abolishes the ketosis & for this reson carbohydrate is said to be antiketogenicQ.